Hypersecretory glaucoma is seen in:
1. Epidemic dropsy
2. Marfan's syndrome
3. Hypertension
4. Diabetes

Correct answer: 1. Epidemic dropsy

Explanation: A. i.e. Epidemic dropsy Epidemic dropsy is caused by sanguinarineQ an active alkaloid in seeds of Argemone mexicanaQ, which is used to adulterate mustard oil seeds.